In a patient presenting with diarrhoea due to vibrio cholera, which of the following will be present ?
1. Abdominal pain
2. Presence of leukocytes in stool
3. Fever
4. Neutrophilia

Correct answer: 4. Neutrophilia

Explanation: Ans. is 'd' i.e., Neutrophilia On laboratory evaluation there will be : Mild neutrophilic leukocytosis (neutrophilia) Elevated hematocrit Elevated BUN and creatinine Normal sodium, potassium and chloride levels. Markedly reduced bicorbonate level Elevated anion gap Acidosis (Low pH)